Hypertension is not seen with :
1. Cyclosporine
2. NSAIDs
3. Erythropoietin
4. L–dopa

Correct answer: 4. L–dopa

Explanation: Levo-dopa may form dopamine in the periphery. It can act on receptors in the blood vessels but the increase in BP is not seen. Rather, postural hypotension is quite common with L-dopa therapy. It may be due to its central action resulting in the decrease in the central sympathetic outflow.
Cyclosporine can produce nephrotoxicity, ototoxicity, hyperkalemia, hyperglycemia, hypertension and hyperlipidemia.
Erythropoietin produces symptoms due to a sudden rise in hematocrit. It may cause hypertension.
NSAIDs blunt the antihypertensive and diuretic effects of thiazides and loop diuretics and may result in salt and water retention.